"Autoinfection" is seen with:
1. Ascaris
2. Strongyloides
3. Giardia
4. Gnasthostoma

Correct answer: 2. Strongyloides

Explanation: Strongyloides